which of the following help in bacterial adhesion
1. cytoplasmic membrane
2. Mesosomes
3. Fimbria
4. LPS

Correct answer: 3. Fimbria

Explanation: Fimbrial Pili helps in bacterial adhesion They are made of protein subunits PILIN , Present only on the surface of GRAM NEGATIVE bacteria REF : ANANTHANARYANA